On sectioning of an organ at the time of autopsy, a focal, wedge-shaped firm area is seen accompanied by extensive
hemorrhage, with a red appearance. The lesion has a base on the surface of the organ. This findings is typically of
1. Heart with coronary thrombosis
2. Lung with pulmonary thromboembolism
3. Liver with hypovolemic shock
4. Kidney with septic embolus

Correct answer: 2. Lung with pulmonary thromboembolism

Explanation: Red infarcts are seen in
Arterial obstruction
In organs that have dual blood supply
Lung* and Liver*
Arterial obstruction
In tissues that have collateral vessels permitting some continued flow into the area although the amount is not
sufficient to prevent infarction.
Intestine*
Venous infarcts
White (or pale) infarcts are seen
Arterial obstruction in solid organs that lack significant collateral circulation. e.g. - heart
spleen
kidney
brain*